In CEAP classification of varicose veins , beer bottle appearance is seen in ?
1. c1
2. c2
3. C4a
4. C4b

Correct answer: 4. C4b

Explanation: C4b - lipodermatosclerosis -subcutaneous fibrosis - beer bottle appearance is seen. ref : bailey and love 27th ed